A known case of bronchial asthma with eosinophilea. Most common cause of the fungal infection is
1. Mucormycosis
2. Aspergillosis
3. Candida
4. Cryptococcosis

Correct answer: 2. Aspergillosis

Explanation: (Aspergillosis) (1335- CMDT- 08) (234-CMDT-09) (1259-H17th)Allergic bronchopulmonary aspergillosis - occurs in patients with preexisting asthma who develop worsening bronchospasm and fleeting pulmonary infiltrates accompanied by eosinophilia high levels of IgE, IgG, Aspergillus precipitins in the bloodCRYPTOCOCCOSIS - Most common cause of fungal meningitis, Predisposing factors - Hodgkin's disease corticosteroids therapy, HIV infectionsMUCORMYCOSIS (Zygomycosis, phycomycosis) - Predisposing conditions include Diabetic ketoacidosis, CRF, desferoxamine therapy, treatment with corticosteroid or cytotoxic drugsCANDIDIASIS - risk factors - prolonged neutropenia, recent abdominal surgery, broad- spectrum antibiotic therapy, renal failure, presence of intravascular catheters (especially when providing TPN) and Injection drug use* Gastrointestinal mucosal disease, particularly esophagitis most common